The most important hormone that increases gallbladder contraction after a fatty meal is:
1. Gastrin
2. Secretin
3. CCK
4. GIP

Correct answer: 3. CCK

Explanation: Ans. c. CCK